A 20 year old male goes swimming . After a few days he develops itching with rashes over his body diffusely. He ignores it until several weeks later he develops lancinating pain down his legs and all of his toes. Within a few days he develops paraparesis and problems with bowel and bladder control with resultant urinary retention. What is your approach to this patient
1. Initiate anticoagulation
2. Do spinal angiography
3. Order an MRI scan
4. Perform sensory evoked potential testing

Correct answer: 3. Order an MRI scan

Explanation: MRI is the best emergent test as it will show compressive lesions as well as infections and vascular lesions  .initiating anticoagulation will cause bleeding in case of AV malformations , so it is excluded.